Extensor hallucis longus is supplied by
1. Superficial peroneal nerve
2. Deep peroneal nerve
3. Tibial nerve
4. Sciatic nerve

Correct answer: 2. Deep peroneal nerve

Explanation: DEEP PERONEAL:- Muscular branches to muscles of anterior compartment of leg:Tibialis anterior, extensor hallucis longus, extensor digitorum longus, and peroneus tertius.Extensor digitorum brevis Cutaneous: dorsal digital nerves for adjacent sides of big toe and second toe.Articular branches:Ankle joint, tarsal joints, tarsometatarsal joints and metatarsophalangeal joint of big toe. SUPERFICIAL PERONEAL:-Muscular branches: peroneus longus and brevis Cutaneous branches:Digital branches to medial side of big toe, adjacent sides of 2nd and 3rd, 3rd and 4th, and 4th and 5th toes. TIBIAL NERVE:-Root value:ventral division of ventral rami of L4,L5,S1,S2,S3 segments of spinal cord.Beginning: largest subdivision of sciatic nerve.Course: descends vertically in popliteal fossa. It continues in back of leg as the neurovascular bundle with posterior tibial vessels. Lastly passes deep to flexor retinaculum of ankle joint.Branches:Muscular branches to gastrocnemius,soleus, popliteus, plantaris, FHL, FDL and Tibialis posterior.Articular branches to superior,middle and inferior genicular .Cutaneous and vascular branch: sural nerve ,medial calcaneal branch and branch to posterior tibial artery.Terminates by dividing into medial and lateral plantar nerves.MEDIAL PLANTAR NERVE:-Muscular branches: Abductor hallucis, flexor digitorum brevis, flexor hallucis brevis and first lumbrical.Cutaneous branch: skin of medial part of sole and medial three and a half toes.LATERAL PLANTAR NERVE:-Main trunk: flexor digitorum accessorius and abductor digiti minimi ans skin of sole. Ends by dividing into superficial and deep branches.Superficial branch: lateral and medial branch Lateral branch:flexor digiti minimi brevis, 3rd plantar, 4th interossei and skin on lateral side of little toe.Medial branch :4th interdigital cleft. Deep branch:2nd,3rd,4th lumbricals1st,2nd,3rd dorsal interossei 1st,2nd plantar interossei andAdductor hallucis. SCIATIC NERVE:-Root value: L4,L5,S1,S2,S3 ventral rami Thickest nerve in the body.Terminal branch of lumbosacral plexus.Tibial part and common peroneal part. Tibial part:ventral division of ventral rami of L4,L5,S1,S2,S3.Common peroneal part: dorsal division of ventral rami of L4, L5, S1, S2. Course: arises in pelvis.Leaves pelvis by passing through greater sciatic foramen below pyriformis to enter gluteal region.In gluteal region, it lies deep to gluteus maximus and crosses superior and inferior gamellus, obturator internus, quadratus femoris to reach thigh.During its short course, it lies between ischial tuberosity and greater trochanter.Gives no branches in gluteal region. Branches:--Muscular1. From tibial part: semitendinosus, semimembranosus, long head of biceps femoris, ischial part of adductor Magnus.2. From common peroneal :Short head of biceps femoris. Articular: hip joint Terminal: tibial and common peroneal. {Reference:BDC 6E vol2 ; pg 79,165,166}